Which of the following is the cause for sudden loss of vision in a diabetic patient?
1. Central material artery block
2. Vitreous haemorrhage
3. Tractional retinal detachment
4. Neovascular glaucoma

Correct answer: 2. Vitreous haemorrhage

Explanation: Vitreous hemorrhage is a common cause of sudden visual loss in diabetic patients. Other causes of loss of vision in patients with diabetes are: Retinal detachment: Patients presents with flashes and floaters with a grey curtain in the periphery of vision. Central retinal vein occlusion: cause loss of vision especially in patients with coexisting hypertension. Central retinal artery occlusion: It cause painless loss of vision especially in older patients more than 60 years. It occur due to retinal artery thrombosis or embolism. Ischemic optic neuropathy: It leads to infarction of the optic disc and sudden onset of central visual loss. Ref: Understanding Diabetes and Endocrinology By Darryl Meekin page 32.